All of the following are true about sphincter urethrae except?
1. Voluntary
2. Supplied by pudendal nerve
3. Arises from ischiopubic ramus
4. Located at bladder neck

Correct answer: 4. Located at bladder neck

Explanation: Ans. d. Located at bladder neck